True about stab wounds:
1. Depth is greater than breadth
2. Breadth is greater than depth
3. Length is greater than breadth
4. It has wound of entry and exit

Correct answer: 1. Depth is greater than breadth

Explanation: Ans. Depth is greater than breadth